4 years old child having palpable abdominal mass & hypertension with sweating & diarrhea is due to –
1. Neuroblastoma
2. Nephroblastoma
3. PCKD (Polycystic kidney disease)
4. None of the above

Correct answer: 1. Neuroblastoma

Explanation: Abdominal mass and hypertension can occur both in neuroblastoma and wilm's tumor.
But, sweating and diarrhea favor diagnosis of neuroblastoma.